Commonest cause of lung abscess:
1. Aspiration
2. Hematogenous spread from distant site
3. Direct contact
4. Lymphatic spread

Correct answer: 1. Aspiration

Explanation: Lung Abscess Lung abscess refers to a microbial infection of the lung that results in necrosis of the pulmonary parenchyma MC cause of primary lung abscess: Anaerobic bacteria Etiology of anaerobic lung abscess: Aspiration